If bile acid pool is small, recycling is:
1. Slow
2. Fast
3. Moderate
4. Any of the above

Correct answer: 2. Fast

Explanation: The total bile acid pool of approximately 3.5 g recycles repeatedly via the enterohepatic circulation; it has been calculated that the entire pool recycles twice per meal and 6–8 times per day.
Reference: Ganong’s Review of Medical Physiology T W E N T Y - F I F T H   E D I T I O N page no 464